Drug of choice for syphilis during pregnancy is
1. Ampicillin
2. Erythromycin
3. Benzathine penicillin
4. Tetracyclines

Correct answer: 3. Benzathine penicillin

Explanation: Ans. c (Benzathine penicillin). (Ref. KD Tripathi - 4th/ 741, 751; William's Obstetrics - 780)# Penicillin is DOC during pregnancy as it also protects the newborn from developing syphilis.# If patient is allergic to penicillin, desensitize the patient & give penicillin (not erythromycin).DOC for syphilisPenicillinAlternative to penicillinErythromycinDuring pregnancyDOC (even if patient is allergic to penicillin) is Penicillin. (Because erythromycin never protect baby from developing syphilis)